A 40-year old veterinarian presented with complaints of abdominal pain. On examination he was found to be icteric, the liver was palpable, ultrasonography revealed the presence of cyst in the right lobe of liver. The skin hypersensitivity test is performed in this infection in the -
1. Patch test
2. Napier's aldehyde test
3. Casoni's test
4. Sabin-Feldman dye test

Correct answer: 3. Casoni's test

Explanation: Management and prevention Hydatid cysts should be excised wherever possible. Great care is taken to avoid spillage and cavities are sterilised with 0.5% silver nitrate or 2.7% sodium chloride. Albendazole (400 mg twice daily for 3 months) should also be used and is often combined with PAIR (percutaneous puncture, aspiration, injection of scolicidal agent and re-aspiration). Praziquantel (20 mg/kg twice daily for 14 days) also kills protoscolices perioperatively. Prevention is difficult when there is a close association with dogs. Personal hygiene, satisfactory disposal of carcasses, meat inspection and deworming of dogs reduces the prevalence of disease. Ref Harrison20th edition pg 1078